True about Legionella pneumonia is -
1. Acid fast
2. Can be isolated from lung biopsy
3. Gram positive
4. Sputum shows polymorphonuclear leukocytes with organism

Correct answer: 2. Can be isolated from lung biopsy

Explanation: Ans. is `b' i.e., Can be isolated from lung biopsy . Legionella is gram negative and non-acid fast. . Legionella can be isolated from lung biopsy. . Sputum shows numerous neutrophils but no organism.